The vessel which needs to be ligated in a patient with a bleeding peptic ulcer is:
1. Gastroduodenal artery
2. Superior pancreaticoduodenal artery
3. Left gastric artery
4. Left gastroepiploic artery

Correct answer: 1. Gastroduodenal artery

Explanation: The vessel which needs to be ligated in a patient with a bleeding peptic ulcer is gastroduodenal artery. Anteriorly placed ulcers tend to perforate posterior duodenal ulcers tend to bleed by eroding into the gastroduodenal artery."